Black piedra is caused by
1. Piedraia hortae
2. Trichosporon asahii
3. Trichosporon ovoides
4. Trichosporon inkin

Correct answer: 1. Piedraia hortae

Explanation: PIEDRA/trichomycosis nodularisPiedra is a superficial fungal infection of the hair shaft characterised by small nodules attached to the hair shaft. Black piedra:- caused by Piedraia hortae. Characterised by firmly attached dark pigmented nodules affecting the scalp hair. White piedra:- caused by Trichosporon beigelli). Characterised by loosely attached light pigmented nodules affecting the scalp,beard, moustache,axillary and pubic hair.soft and less firmly attached to hair shaft. Treatment- shaving hair from affected part.Systemic terbinafine, topical keratolytics-black piedra.Topical azoles- white piedra. Iadvl textbook of dermatology page 277